Type of wave in Metabolic Encephalopathy -
1. Alpha
2. Beta
3. Gamma
4. Delta

Correct answer: 4. Delta